Retinal output is mainly from
1. Ganglion cell layer
2. Layer of rods & cones
3. Outer nuclear layer
4. Outer plexiform layer

Correct answer: 1. Ganglion cell layer

Explanation: (A) Ganglion cell layer # Retina:> Layer of rods & cones: These are the end organs of vision & are also known as photoreceptors> Outer nuclear layer: It consists of nuclei of the rods and cones.> Outer plexiform layer: It consists of connections of rod spherules and cone pedicles with the dendrites of bipolar cells and horizontal cells.> Inner nuclear layer: It mainly consists of cell bodies of bipolar cells.* It also contains cell bodies of horizontal & muller's cells & capillaries of central artery of retina* The bipolar cells constitute the 1 st order neurons> Ganglion cell layer. It mainly contains the cell bodies of ganglion cells (the second order neurons of visual pathway).